False about clavicle
1. Ossifies membrane
2. Horizontal bone
3. No medullary cavity
4. Most common site of fracture is the junction of medial 1/3rd with lateral 2/3rd

Correct answer: 4. Most common site of fracture is the junction of medial 1/3rd with lateral 2/3rd

Explanation: BD CHOURASYA'S HUMAN ANATOMY VOLUME 1 page no:8 The clavicle is commonly fractured by falling on the outstretched hand.the most common site of fracture is the junction between the two curvatures of the bone which is the weakest point